SMILE is
1. Bladeless flap LASIK
2. Blade LASIK
3. Bladeless Flapless LASIK
4. Blade based flapless LASIK

Correct answer: 3. Bladeless Flapless LASIK

Explanation: SMILE is bladeless Flapless LASIK Types of LASIK *Conventional LASIK: The LASIK flap is made by microkeratome blade and then EXCIMER laser is used for stromal ablation *Epi LASIK or Photorefractive Keratectomy: Laser ablation is done after removal of epithelium without the creation of flap *SMILE- is small incision lenticular extraction , a new technique in lasik using femtolaser. No Flap is made and it is bladeless. *I lasik: bladeless lasik. Creation of Flap is by Femtolaser LASIK procedure